Treatment of psoriasis include all except –
1. Retinoids
2. Methotrexate
3. Cyclosporine
4. Oral corticosteroides

Correct answer: 4. Oral corticosteroides

Explanation: Unstable psoriasis may be brought under control with liberal application of topical bland emollient & supportive therapy.
Oral methotrexate, retinoids, cylosporine can be used; however, systemic steroids are usually avoided for the fear of precipitating pustular psoriasis upon withdrawal.
Only in pregnancy with pustular psoriasis (impetigo gestationis), steroids are drug of choice.